Which is the precursor amino acid for selenocysteine
1. Cysteine
2. Cystine
3. Serine
4. Glycine

Correct answer: 3. Serine